The Socio-Economic, Education and Housing Scale developed for rural areas for demographic classicification is which of the following?
1. Pareek
2. Kuppuswami
3. Bhore
4. Adson's scale

Correct answer: 1. Pareek

Explanation: Pareek has evolved a method useful for rural areas. It is based on 9 characteristics. These are caste, occupation of family head, education of family head, level of social participation of family head, land holding, housing, farm power, material possessions and type of family. Each characteristic is given score and the total score is used for ultimate classification. Kuppuswami's scale is based on three characteristics; education, income and occupation.